WHO STEPS is used for:
1. Communicable diseases
2. Non-communicable diseases
3. Immune-deficient diseases
4. Autoimmune diseases

Correct answer: 2. Non-communicable diseases

Explanation: Non-communicable diseases [Ref. http://wwwwho.int/mediacentre/factsheets/fs273/en4 Repeat from May10